Which of the following treatments for menorrhagia is not supported by evidence?
1. Tranexamic acid
2. Ethamsylate
3. Combined OCP
4. Progesterone

Correct answer: 2. Ethamsylate

Explanation: Ans. is 'b' i.e. Ethamsylate Ethamsylate has a dubious role in treatment of menorrhagia. Tranexamic acid, progesterone and combined OCP, all have proven role in treatment of menorrhagia."Ethamsylate is thought to act by reducing capillary fragility, though the precise mechanisms are uncertain. Studies with objective MBL (menstrual blood loss) measurement using the currently recommended doses show that it is ineffective" - DewhurstsRest of the two books mentioned in reference do also mention that efficacy of ethamsylate in reducing menstrual blood loss have not been satisfactorily proved. Its use is not recommended in UK.